All are possible causes of seizures on day 1 of life EXCEPT
1. Hypoglycemia
2. Tetanus
3. Asphyxia
4. Intraventricular bleeding

Correct answer: 2. Tetanus

Explanation: Causes of Neonatal Seizures: AGES 1-4 DAYS Hypoxic-ischemic encephalopathy Drug withdrawal, maternal drug use of narcotic or barbiturates Drug toxicity: lidocaine, penicillin Intraventricular hemorrhage Acute metabolic disorders * Hypocalcemia * Sepsis * Maternal hyperthyroidism, or hypoparathyroidism * Hypoglycemia * Perinatal insults, prematurity, small for gestational age * Maternal diabetes * Hyperinsulinemic hypoglycemia * Hypomagnesemia * Hyponatremia or hypernatremia * Iatrogenic or inappropriate antidiuretic hormone secretion Inborn errors of metabolism * Galactosemia * Hyperglycinemia * Urea cycle disorders Pyridoxine deficiency and pyridoxal-5-phosphate deficiency (must be considered at any age) Nelson 20e pg 2581